"Tuberculate spores" are characteristic features of-
1. Candida
2. Histoplasma
3. Coccidioidomycosis
4. Cryptococcus

Correct answer: 2. Histoplasma